Objective assessment of the refractive state of the eye is termed
1. Retinoscopy
2. Gonioscopy
3. Ophthalmoscopy
4. Keratoscopy

Correct answer: 1. Retinoscopy

Explanation: Ans. Retinoscopy